A 15 year old boy had 10–12 partial complex seizures per day inspite of adequate 4 drugs antiepileptic regime. He had a history of repeated high-grade fever in childhood. MRI for epilepsy protocol revealed normal brain scan. What should be the best noninvasive strategy to make a definite diagnosis so that he can be prepared to undergo epilepsy surgery –
1. Interictal scalp EEG
2. Video EEG
3. Interictal 18F–FDg PET.
4. Video EEG with Ictal 99m Tc – HMPAO Brain SPECT

Correct answer: 4. Video EEG with Ictal 99m Tc – HMPAO Brain SPECT

Explanation: If localization of epileptic focus is unrevealed on MRI, Ictal SPECT with HMPAO is the most practical and best method. Addition of video EEG further helps in localization of epileptic foci.